No movement of Red reflex in retinoscopy -
1. No refractive error
2. Myopia of 3D
3. Myopia of 1D
4. Hypermetropia

Correct answer: 3. Myopia of 1D

Explanation: In low degrees of refractive errors the shadow (red reflex) seen in the pupillary area is faint and moves rapidly with the movement of the mirror; while in high degrees of ametropia it is very dark and moves slowly. Reference : A K KHURANA OPHTALMOLOGY, Edition 4,Page-550